The most important prognostic factor in carcinoma breast is
1. Size of tumour
2. Skin involvement
3. Involvement of muscles
4. Axillary gland involvement

Correct answer: 4. Axillary gland involvement

Explanation: The Nottingham prognostic index (NPI) is used to determine prognosis following surgery for breast cancer. Its value is calculated using three pathological criteria: the size of the lesion; the number of involved lymph nodes; and the grade of a tumour.Size of lesion is least important.The extent of axillary lymph node involvement by breast cancer--is the most established and reliable prognostic factor for subsequent metastatic disease and survivalDevita principles of oncology 10th edition, Bailey and love 26th edition.